Neuropsychiatry symptoms are seen with which anti TB drug ?
1. INH
2. Rifampicin
3. Pyrazinamide
4. Streptomycin

Correct answer: 1. INH

Explanation: Ans. is 'a' i.e., INH Adverse effects of INH Peripheral neuritis (most common), hepatitis, optic neuritis & atrophy, seizure, ataxia, muscle twitching, toxic encephalopathy, psychoses, rashes, fever, arthralgia, acne, lupus like syndrome, hemolytic anemia in G6PD deficiency. Note: Most common antitubercular drug which is implicated in causing peripheral neuropathy is INH.